What is the percentage of fibre in animal foods?
1. 0%
2. 1%
3. 2%
4. 5%

Correct answer: 1. 0%

Explanation: Animal foods do not contain any fibre. A daily intake of about 40 grams of dietary fibre per 2000 Kcal is desirable. Ref: Park 21st edition, page 567.